Which of these following is an example of a leading question?
1. How did you get cuts on T shi
2. Cause of injury
3. Whether it is caused by knife
4. Size of incised wound

Correct answer: 3. Whether it is caused by knife

Explanation: Leading question: Any question suggesting the answer which the person putting it wishes or expects to receive. It includes a material fact and admits of a conclusive answer by a simple 'Yes' or 'No' Leading questions not permitted in Leading questions permitted in -Examination in chief(Section 142 IEA) -Re-examination -Dying declaration -Cross examination( Section 143 IEA) -Dying deposition -Hostile witness